The most common source of pulmonary embolism
1. Amniotic fluid embolism
2. Renal artery embolism
3. Large veins of leg
4. Cardio thoracic surgery

Correct answer: 3. Large veins of leg